Circumcision is contraindicated in -
1. Balanitis
2. Hypospadias
3. Paraphimosis
4. Exostrophy of bladder

Correct answer: 2. Hypospadias

Explanation: Ans. is 'b' i.e., Hypospadias o Circumcision is not done in patients with hypospadias as the prepuce can later be used in surgical repair.o Circucision is mostly done for cultural reasons,o The medical indications for circumcision are:Phimosis & ParaphimosisRecurrent balanoposthitis. (i.e. inflammation of the foreskin)Recurrent urinary tract infection. (Circumcision is occasionally justified in boys with an abnormal upper urinary tract and recurrent urinary infection. It may also help boys with spina bifida who need to perform clean intermittent urethral catheterisation.)An emerging and still controversial indication for circumcision is in the prevention of sexually acquired human immunodeficiency virus (HIV) infection in communities where this disease is common; large clinical trials have recently shown that circumcision reduces the risk of HIV transmission.o Circumcision for medical reasons is best performed under general anaesthesia.Also know:o Circumcision soon after birth confers immunity against carcinoma of the penis. Later circumcision does not seem to have the same effect.